Anterior pituitary gland secretes all of the following except:
1. GH
2. TSH
3. FSH
4. GnRH

Correct answer: 4. GnRH

Explanation: Ans. D: GnRHAnterior pituitary secretes six hormones:ACTHTSHGHFSHLHPRLGnRH is secreted by hypothalamus